Investigation contraindicated in antenatal expectant mother is :
1. X-rays
2. Ultrasound
3. Urine examination
4. Blood examination

Correct answer: 1. X-rays

Explanation: X-rays